Which of the following is present in higher concentrations in mother than in the fetus
1. Zinc
2. Iron
3. Ascorbic acid
4. HPL

Correct answer: 4. HPL

Explanation: HPL = Human placental lactogen is abundant in mother, but not the fetus. It promotes utilization of free fatty acids by maternal tissues and blocks peripheral uptake and use of glucose by maternal tissues.